Dangerous area of eye:
1. Ciliary body
2. Optic nerve
3. Sclera
4. Choroid

Correct answer: 1. Ciliary body

Explanation: A i.e. Ciliary body